The change in colour of a traumatized primary incisor
usually results from all the following except.
1. Laceration of periodontal fibres
2. Diffusion of biliverdin into the dentinal tubules
3. Development of a heavy layer of secondary dentin
4. Internal resorption of dentin within the crown

Correct answer: 1. Laceration of periodontal fibres